Urban malaria is spread by
1. Anopheles stephensi
2. Anopheles culcifacies
3. Culex fatigans
4. Mansonides

Correct answer: 1. Anopheles stephensi

Explanation: Anopheles.culicifacies is the main vector of rural and peri-urban areas Anopheles.stephensi is responsible for malaria in urban and industrial areas Ref: Park's textbook of preventive and social medicine; 23rd edition